A 35 year old sexually active male presents to his internist with a painless penile vesicle. Physical exam reveals inguinal lymphadenopathy. The infecting organism is definitively diagnosed and is known to exist in distinct extracellular and intracellular forms. Which of the following is the most likely pathogen?
1. Calymmatobacterium granulomatis
2. Chlamydia trachomatis
3. Haemophilus ducreyi
4. Neisseria gonorrhoeae

Correct answer: 2. Chlamydia trachomatis

Explanation: This patient has lymphogranuloma venereum caused by Chlamydia trachomatis (type L1, 2, or 3). Chlamydia exhibit distinct infectious and reproductive forms. The extracellular infectious form is known as the elementary body (EB), which is incapable of reproduction. It attaches to the host cell and enters through endocytosis. Once inside the cell, the EB is transformed into the reticulate body (RB) within the endosome. The RB is capable of binary fission and divides within the endosome; fusion with other endosomes occurs to form a single large inclusion. Eventually, the RBs undergo DNA condensation and disulfide bond bridgings of the major outer membrane protein, forming EBs. The EBs are then released. Note that C. trachomatis is responsible for several sexually or perinatally transmitted diseases, including ocular trachoma (types A, B, and C), neonatal conjunctivitis, nongonococcal urethritis, cervicitis, and pelvic inflammatory disease (types D-K). Calymmatobacterium granulomatis is a gram-negative rod that causes superficially ulcerated genital or inguinal papules that coalesce to form substantial lesions. The appearance of Donovan bodies in histiocytes is diagnostic of this infection. Haemophilus ducreyi is a gram-negative rod that causes a soft, painful penile chancre, unlike that of a chlamydial or syphilitic lesion. This infection is common in the tropics. Neisseria gonorrhoeae is a gram-negative diplococcus responsible for gonorrhea. Patients typically present with purulent penile discharge, not genital lesions. Ref: Levinson W. (2012). Part IX. Brief Summaries of Medically Important Organisms. In W. Levinson (Ed), Review of Medical Microbiology & Immunology, 12e.